Most common cause of Budd Chiari syndrome is -
1. Idiopathic
2. Valves in hepatic veins
3. Hepatocellular carcinoma
4. Thrombosis of hepatic veins

Correct answer: 4. Thrombosis of hepatic veins